Mouth-to-mouth respiration provides an oxygen concentration of:
1. 16%
2. 20%
3. 22%
4. 24%

Correct answer: 1. 16%

Explanation: A i.e. 16%Mouth - to mouth respiration provides 16% of 02.In mouth- to - mouth respiration the resuscitor takes a deep breath & exhales into the subject's mouth. It provides 16% (15.7%) of 02.(amount of 02 that is present in expired air)